Apical constriction is otherwise known as
1. Minor diameter
2. Major diameter
3. Radiographic apex
4. Tooth apex

Correct answer: 1. Minor diameter